The lowest rib level reached by the parietal pleura in the midaxillary line is
1. Eighth
2. Ninth
3. Tenth
4. Eleventh

Correct answer: 3. Tenth

Explanation: C. i.e. Tenth